Sociology is
1. Study of human relationship
2. Study of human behavior
3. Both
4. None of the above

Correct answer: 3. Both

Explanation: Sociology deals with the study of human relationships and of human behavior for a better understanding of the pattern of human life. It is also concerned with the effects on the individual of the ways in which other individuals think and act.Ref: Park; 23rd ed; Pg 670